Compression osteosynthesis heals fracture mandible by:
1. Primary union with out callus formation
2. Secondary union with out callus formation
3. Compression union
4. All of the above

Correct answer: 1. Primary union with out callus formation